A 3 year old male baby presents to Casualty with complaints of sudden onset of stridor. A foreign body is visualised in the  upper airway. Next line of management
1. Heimlich's maneuver
2. Foreign body removal using Magill's forceps
3. Foreign body removal using Rigid Bronchoscope
4. Foreign body removal using Fibreoptic Bronchoscope

Correct answer: 2. Foreign body removal using Magill's forceps

Explanation: In case of a foreign body in upper airway,
if visualised - Foreign body removal using Magill's forceps
If not visualised - Heimlich's maneuver.